The drug used for leishmaniasis treatment
1. Pyrimethamine
2. Albendazole
3. Sodium stibogluconate
4. Tinidazole

Correct answer: 3. Sodium stibogluconate

Explanation: Sodium stibogluconate, is drug of choice in leishmaniasis. Meglumine antimoniate, Pentamidine, Amphotericin B, Miltefosine, Paromomycin are alternative drugs Basic and clinical pharmacology Katzung 13th edition pg 902